A bullet fired from a gun is not released. It is released out with the subsequent shot. It is known as:
1. Dum Dum bullet
2. Tandem bullet
3. Ricochet bullet
4. None of the above

Correct answer: 2. Tandem bullet

Explanation: Tandem or piggyback bullets are ejected one after the other, when the first bullet having been stuck in the barrel fails to leave the barrel and is ejected by the subsequently fired bullet Ref: Parikh, 6th ed, page 4.26.